Drug used in an ameliorative test for myasthenia gravis is:
1. Physostigmine
2. Edrophonium
3. Tacrine
4. Pyridostigmine

Correct answer: 2. Edrophonium

Explanation: Drug used in ameliorative test (tensilon test) for myasthenia gravis is edrophonium. It is a cholinergic drug and can be used for diagnosis of myasthenia gravis because of its short duration of action (10 - 30 min.)